In alcohol withdrawal, drug of choice is:
1. TFP
2. Chlormethazole
3. Chlordiazepoxide
4. Buspirone

Correct answer: 3. Chlordiazepoxide

Explanation: Ref: Katzung 10/e p370 Long acting benzodiazepines like diazepam and chloridiazepoxide are drug of choice for alcohol withdrawal.